Acanthosis involves -
1. Str spinosum
2. Str granuolosum
3. Str Basale
4. Str comeum

Correct answer: 1. Str spinosum

Explanation: Ans is 'a' i.e., Str spinosum Acanthosiso This term is used to describe an increase in number of cells in the spinous cell layer or prickle cell layer of the epidermis.